Severe anxiety causes
1. Respiratory acidosis
2. Respiratory alkalosis
3. Metabolic acidosis
4. Metabolic alkalosis

Correct answer: 2. Respiratory alkalosis

Explanation: Increase in the alveolar ventilation due to hyperventilation and anxiety ,hysteria causes respiratory alkalosis. Ref:page no 569 Textbook of physiology Volume 1 7th edition AK Jain